Definitive renal artery arises from -
1. Common iliac artery
2. Internal iliac artery
3. External iliac artery
4. Aorta

Correct answer: 4. Aorta

Explanation: Ans. is 'd' i.e., Aorta o Due to ascent of kidneys during development, the blood supply of kidney changes:-1) Initially when the kidneys are in pelvis, the renal arteries are branches of common iliac arteries.2) With progressive ascent, the arteries to kidneys are derived from different levels of aorta.o Upto 5th week of intrauterine life, kidney is in lumbar region and renal arteries are branches of common iliac arteryo After that, differential growth of abdominal wall causes the kidney to ascent to lumbar region. Adult position (lumbar region of abdomen) is attained by 9th week. Druing progressive ascent, the arteries to kidney are derived from different levels of aorta.o After full ascent, definitive renal artery is branch of aorta at 2nd lumbar segmento Thus, neonatal kidney is supplied by aorta.